In pediatric epidural anaestheisia, volume of local anaesthetic given to cause sacral dermatome block is?
1. 0.5 -1 ml/kg
2. 2 - 4 ml/kg
3. 5 - 10 ml/kg
4. None

Correct answer: 1. 0.5 -1 ml/kg

Explanation: Ans. is 'a' i.e., 0.5 - 1 ml/kg Two most commonly used local anaesthetics for caudal block in children are :- Bupivacaine -0.25% concentration in dose of 1 ml/kg. Ropivacaine - 0.2% concentration in dose of 1.2 ml/kg. For easy calculation of volume :- 0.5 mUkg for sacral blockade. 0.75 ml/kg for lower thoracic blockade. 1.25 ml/kg for upper thoracic blockade.